Gottron's papules ae seen in?
1. SLE
2. MTCD
3. Dermatomyositis
4. Rheumatoid arthritis

Correct answer: 3. Dermatomyositis

Explanation: Ans. (c) DermatomyositisRef: Harrison's I7h edch: 388